Spleen is derived from -
1. Ventral mesogastrium
2. Dorsal mesogastrium
3. Septum transversorium
4. Allantois

Correct answer: 2. Dorsal mesogastrium

Explanation: Ans. is 'b' i.e., Dorsal mesogastrium o Spleen develops as a collection of mesenchymal cells in the dorsal mesogastrium.o Initially the splenic tissue is arranges as a number of lobules which later join together to form a single spleen. The notches in the superior border of adult spleen are representatives of growth that separated the lobules during fetal period.